Treatment of choice for severe falciparum malaria is -
1. Chloroquine
2. IV artesunate
3. IV quinine
4. IV quinidine

Correct answer: 2. IV artesunate

Explanation: Ans. is 'b' i.e., IV artesunate Treatment of falciparum malaria o Artimisinin derivatives are the drug of choice for any type of falciparum malaria i) Uncomplicated ii) Complicated/severe/cerebral o Amongst artimisinin derivatives, artesunate is the DOC. o Other drugs used for severe/complicated/cerebral falciparm malaria : Artemether (2nd choice), Quinine (3rd choice), Quinidine.